Which is most commonly implicated in genital (vulval) was :
1. HPV 16
2. HPV 18
3. HPV 31
4. HPV 6

Correct answer: 4. HPV 6

Explanation: Genital was or Condyloma accuminata Caused by HPV 6 & 11 HPV 16,18, 45, 56 : Causes infection and malignant epithelial transformation of cervix, vagina and vulva Ref: D.C.DUTTA'S TEXTBOOK OF GYNAECOLOGY; 6th edition; Pg no:157